What is the position of vegetation on heart valve caused due to non bacterial thrombotic endocarditis?
1. Pocket of valves
2. Upper surface of cusps
3. Lower surface of cusps
4. Along the line of closure

Correct answer: 4. Along the line of closure

Explanation: Answer- D. Along the line of closureIn NBTE, vegetations occur along the line of closure.